Low molecular weight heparin mainly inhibits which factor:
1. Factor Ilia
2. Factor VIIIa
3. Factor Xa
4. Factor XIIa

Correct answer: 3. Factor Xa

Explanation: Ans. C: Factor Xa